Appreciation of shape and size of an object placed in the hand is lost in the lesion of:
1. Tractus gracilis
2. Tractus cuneatus
3. Lateral spinothalamic tract
4. Spino-reticular tract

Correct answer: 2. Tractus cuneatus

Explanation: B i.e. Tractus cuneatus